Provisional callus forms in fracture of bone by :
1. 3 days
2. 7 days
3. 14 days
4. 30 days

Correct answer: 2. 7 days

Explanation: B i.e. 7 days